Indium labelled WBC scan is used to locate:
1. Occult malignancy
2. Occult bleeding
3. Abscess
4. Aneurysm

Correct answer: 3. Abscess

Explanation: Inflammatory process and abscess which are difficult to locate with routine scanning can be diagnosed by Radionuclied scanning. They are, 1. Technitium 99 scan 2. Gallium 67 citrate scan 3. Indium 111 scan Ref: Harrison, Edition-18, Page-163.